Javelle’s water is
1. NaOCl
2. Chlorhexidine
3. EDTA+ NaOCl
4. EDTA

Correct answer: 1. NaOCl